Which of the following drug is commonly used in narcoanalysis?
1. Atropine sulfate
2. Scopolamine hydrochloride
3. Phenobarbitone
4. Morphine

Correct answer: 2. Scopolamine hydrochloride

Explanation: Ans. (B) Scopolamine hydrochloride(Ref: J Psychiatry and Law 1993:3:447-471)Controlled administration of intravenous hypnotics to obtain information from subjects who are unable or unwilling to provide it otherwise, is known as Narcoanalysis or Narcosynthesis.Drugs used for narcoanalysis are:[?]Ethanol[?]Scopolamine[?]Temazepam[?]Barbiturates like Thiopentone and AmobarbitalThese drugs are also known as truth drug or truth serum.Phenobarbitone is not used, rather amobarbital is used for narcoanalysis.